What is tympanoplasty?
1. Eradication of middle ear disease with reconstruction of tympanic membrane & ossicles
2. Eradication of disease from internal ear
3. Repair of tympanic membrane only
4. Repair of ossicle only

Correct answer: 1. Eradication of middle ear disease with reconstruction of tympanic membrane & ossicles

Explanation: Tympanoplasty is an operation to- (i) eradicate disease in the middle ear and (ii) to reconstruct hearing mechanism. It may be combined with mastoidectomy if disease process so demands. Type of middle ear reconstruction depends on the damage present in the ear. The procedure may be limited only to repair of tympanic membrane (myringoplasty), or to reconstruction of ossicular chain (ossiculoplasty), or both (tympanoplasty). Reconstructive surgery of the ear has been greatly facilitated by development of operating microscope, microsurgical instruments and biocompatible implant materials. Re: Textbook of Ear, Nose and Throat, Dhingra, 6th Edition, page 29.